Robertsons cooked meat medium is best suited for cultivation of:
1. Clostridia
2. S. epidermidis
3. Cholera
4. Mycobacterium

Correct answer: 1. Clostridia